Orotic aciduria is due to deficiency of ?
1. Decarboxylase
2. Tyrosinase
3. Isomerase
4. Homogentisate oxidase

Correct answer: 1. Decarboxylase

Explanation: Ans. is 'a' i.e., Decarboxylase Metabolic disease Enzyme deficient Maple syrup urine disease Branched chain ketoacid dehydrogenase Methyl-melonic aciduria Methyl-malonyl CoA mutase (isomerase) Isovaleryl-CoA dehydrogenase Sweaty feet odor in body Tyrosinemia I (Tyrosinosis) Fumarylacetoacetate hydroxylase Tyrosinemia II Tyrosine transaminase (Tyrosine aminotransferase) Neonatal tyrosinemia Hydroxyphenyl pyruvate hydroxylase Albinism Tyrosinase Alkaptonuria Homogentisate oxidase Phenylketonuria Phenylalanine hydroxylase Orotic aciduria Homocystinuria Lesh-Nyhan syndrome Cystinosis OMP decarboxylase Cystathionine synthatase Complete deficiency of enzyme HGPRT Cystine reductase